Second most common cause of chromosomal abnormality causing intellectual disability -
1. Down's syndrome
2. Fragile X syndrome
3. Edward syndrome
4. Patau syndrome

Correct answer: 2. Fragile X syndrome

Explanation: "Fragile X syndrome is the second most common genetic cause of intellectual disability, after Down syndrome".